Structure associated with horizontal movement of eye is?
1. Midbrain
2. Pons
3. Medulla
4. Thalamus

Correct answer: 2. Pons

Explanation: Pons REF: Parson's Diseases of Eye 19th edition page 430 "Centre for controlling horizontal conjugate movements is situated in pons and vertical conjugate movements in midbrain" The horizontal movement is by Lateral rectus and medial rectus, lateral rectus is supplied by Abducent nerve which is located in pons.